Satellite Body and Acrocentric Chromosomes are present in which group
1. A
2. B
3. C
4. D

Correct answer: 4. D

Explanation: A satellite chromosome or SAT chromosome has a chromosome segment that is separated from the main body of the chromosome by such a secondary constriction. In humans, the chromosomes number 13, 14, 15, 21 and 22 are examples of SAT chromosomes.Human chromosome groupingGroupChromosomesSize and shapeA1-3Large metacentricB4 & 5Large submetacentricC6-12 & XMediumsubmetacentricD13-15Medium acrocentricE16-18Large submetacentricF19 & 20Short metacentricG21,22 & YShort acrocentricReference: Dutta General Anatomy; 5th edition; Page no: 199